Haemoglobin synthesis starts with?
1. Glycine
2. Histidine
3. Iron
4. Folic acid

Correct answer: 1. Glycine

Explanation: ANSWER: (A) GlycineREF: Harper 26th e p. 271-275Steps of porphyrin ring synthesis:EnzymeLocationSubstrateProductporphyriaALA synthaseMitochondrionGlycine, sucdnyl CoAD-Aminolevoilinic acidnoneALA dehydrataseCytosolD-Aminolevulinic acidPorphobilinogenALA-DehydratasedeficiencyPEG deaminaseCytosolPorphobilinogenHydroxymethyl bilaneAcuteintermittentporphyriaUroporphyrinogen III synthaseCytosolHydroxymethyl bilaneUroporphyrinogen IIICongenitalerythropoieticporphyriaUroporphyrinogen III decarboxylaseCytosolUroporphyrinogen IIICoproporphyrinogen IIIPorphyria cutanea tardaCoproporphyrinogen III oxidaseMitochondrionCoproporphvrinogen IIIProtoporphyrinogen IXCoproporphyriaProtoporphyrinogenoxidaseMitochondrionProtoporphyrmogen IXProtoporphyrin IXVariegateporphyriaFerrochelataseMitochondrionProtoporphyrin IXHemeErythropoieticprotoporphyriaHeme synthesis--note that some reactions occur in the cytoplasm and some in the mitochondrion (yellow)